Rituximab is antibody against?
1. CD20
2. VEGF
3. EGFR
4. IL-2

Correct answer: 1. CD20

Explanation: ANSWER: (A) CD20REF: Goodman and Gillman 11th edition page 901See APPENDIX-34 for "FDA APPROVED MONOCLONAL ANTIBODIES""Rituximab, sold under the trade names Rituxan and MabThera, is a chimeric monoclonal antibody against the protein CD20, which is primarily found on the surface of B cells. Rituximab is used in the treatment of many lymphomas, leukemias, transplant rejection and some autoimmune disorders"APPENDIX - 34FDA Approved Monoclonal AntibodiesAntibodyTypeTargetIndication(What it's approved to treat)AbciximabchimericInhibition of glycoprotein Ilb/IIIaCardiovascular diseaseAdalimumabhumanInhibition of TNF-tz signallingSeveral auto-immune disordersAlemtuzumabhumanizedCD52Chronic lymphocytic leukaemiaBasiliximabchimericIL-2Rc; receptor (CD25)Transplant rejectionBevacizumahhumanizedVascular endothelial growth factor (VEGF)Colorectal cancer, Age related macular degeneration (off-label)CetuximabchimericEpidermal growth factor receptorColorectal cancer, Head and neck cancerCertolizumab pegolhumanizedInhibition of TNF-cr signallingCrohn's diseaseDaclizumabhumanizedIL-2Rcr receptor (CD 2 5)Transplant rejectionEcuiizumabhumanizedComplement system protein C5Paroxysmal nocturnal hemoglobinuriaEfalizumabhumanizedCDllaPsoriasisGemtuzumabhumanizedCD33Acute myelogenous leukaemia (with calicheamicin)IbritumomabtiuxetanmurineCD20Non-Hodgkin lymphoma (with yttrium- 90 or indium-111)InfliximabchimericInhibition of TNF-cr signallingSeveral autoimmune disordersMuromonab-CD3murineT cell CD3 ReceptorTransplant rejectionNatalizumabhumanizedAlpha-4 (c4) integrin,Multiple sclerosis and Crohn's diseaseOmalizumabhumanizedImmunoglobulin E (IgE)Mainly allergy-related asthmaPalivizumabhumanizedAn epitope of the RSV F proteinRespiratory Syncytial VirusPanitumumabhumanEpidermal growth factor receptorColorectal cancerRanibizumabhumanizedVascular endothelial growth factor A (VEGF-A)Macular degenerationRituximabchimericCD20Non-Hodgkin lymphomaTositumomabmurineCD20Non-Hodgkin lymphomaTrastuzumabhumanizedErbB2Breast cancer